All of the following ACE inhibitors are prodrugs and are activated by esterases in the liver except:
1. Captopril
2. Ramipril
3. Perindopril
4. Spirapril

Correct answer: 1. Captopril

Explanation: Captopril , lisinopril and enalaprilat are active molecules. All other ACE inhibitors like enalapril, Benazepril, fosinopril, moexipril, perindopril, spirapril, ramipril, and trandolapril are prodrugs.